A female suffering from psychosis, taking phenothiazines now complains of sudden onset of high grade fever, muscle rigidity and altered sensorium. The diagnosis is -
1. Malignant hyperthermia
2. Neuroleptic malignant syndrome
3. Tardive dyskinesia
4. Akathesia

Correct answer: 2. Neuroleptic malignant syndrome

Explanation: Ans. is 'b' i.e., Neuroleptic malignant syndrome o History of intake of antipsychotic drugs and high grade fever, muscle rigidity, altered sensorium suggests Neuroleptic Malignant Syndrome.